Endemic ascitis is associated with the following -
1. Pyrrolizidine
2. Aflatoxin
3. Sanguinarine
4. Beta oxalylamino alanine (BOAA)

Correct answer: 1. Pyrrolizidine

Explanation: Ans. is 'a' i.e. Pyrrolizidine Repeat from Nov 06Endemic ascites is caused by a hepatotoxin - pyrrolizidine alkaloid found in weed seeds of Crotolaria (Jhunjhunia).These weed seeds of Jhunjhunia contaminate the millet seeds Panicum milare (locally k/a Gondhli)Endemic ascites presented in Sarguja district of Madhya Pradesh during 1973 & 1976 as outbreak of rapidly developing ascites and jaundice with high mortality.Preventive measureseducating the people de weeding of Jhunjhunia plants which grow along with the staple food-millet.sieving to separate out the Jhunjhunia seeds from millet seeds.Other food toxicant diseases:Neurolathyrism - caused by toxin Beta oxalyl amino alanine (BOAA) found in seeds of pulse Lathyrus sativum (Khersari dal)Epidemic dropsy - caused by toxic alkaloid Sanguinarine found in argemone mexicana seeds. Argemone oil contaminates mustard oil.Aflatoxicosis is due to ingestion of aflatoxins produced by certain fungi, Aspergillus flavus and A. parasiticus. Aflatoxins are Hepatotoxins & also carcinogenic.